All of the following infections are often associated with acute intravascular hemolysis, except:
1. Clostridium tetani
2. Bartonella bacilliformis
3. Plasmodium falciparum
4. Babesia microti

Correct answer: 1. Clostridium tetani

Explanation: Clostridium tetani acts by releasing 'tetanospasmin' which acts by blocking neurotransmitter release (It has no role in haemolysis). Ref: Harrison's Principles of Internal Medicine, 15th Edition, Page 690